Least chances of complication like dumping syndroms, and diarrhoea is seen in :
1. Highly selective vagotomy
2. Truncal vagotomy & Gastrojejunostomy
3. Antrectomy with truncal vagotomy
4. Vagotomy with pyloroplasty

Correct answer: 1. Highly selective vagotomy

Explanation: Ans. is 'a' i.e., Highly selective vagotomy It is least seen with highly selective vagotomy because the motility of the stomach is least affected in highly selective vagotomy and is most common with gastrectomy.